Most specific cardiovascular anomaly in infant of diabetic mother -
1. VSD
2. TGA
3. TAPVC
4. ASD

Correct answer: 2. TGA

Explanation: PROBLEMS IN INFANT OF DIABETIC MOTHER : - MACROSOMIA/ LARGE FOR DATE BABY - METABOLIC: Hypoglycemia Hypocalcemia Hypomagnesemia Polycythemia Neonatal jaundice - RESPIRATORY PROBLEMS: More chances of Respiratory Distress Syndrome d/t delayed maturation of surfactant - CVS: MC congenital abnormality in IDM --> C.H.D MC congenital heart disease in IDM --> V.S.D Most specific congenital heart disease in IDM - TGA - CNS: MC congenital neurologic abnormality in IDM - Neural tube defect Most specific neurologic abnormality in IDM - Sacral agenesis or caudal regression syndrome. Overall most specific congenital abnormality in IDM - Sacral agenesis or caudal regression syndrome - RENAL: Renal agenesis Duplication of ureter Renal vein thrombosis - GI : Duodenal atresia Lazy (small) left colon syndrome - LONG TERM PROBLEMS Blindness Obesity Non ketotic hypoglycemia Diabetes mellitus Congenital anomalies are seen in infant of gross diabetic mother and not in infant of GDM mother.